Reccurent oral ulcers with pain and erythematous halo around them, diagnosis is:
1. Apthus ulcer
2. Herpes
3. Chicken pox
4. Measels

Correct answer: 1. Apthus ulcer

Explanation: A i.e. Apthous ulcer Apthous Ulcers Vitamine deficiency & Stress are important etiological agents Charecterstically presents with reccurent painful oral ulcers with erythema & halo around itQ.